Sensory supply of vocal cord ?
1. Internal laryngeal nerve
2. Recurrent laryngeal nerve
3. Superior laryngeal nerve
4. All of the above

Correct answer: 4. All of the above

Explanation: Ans. is 'd' i.e., All of the above Above the vocal cords the sensory innervation of larynx is internal laryngeal nerve (a branch of superior laryngeal nerve). Below vocal cords it is by way of branches of recurrent laryngeal nerve. The vocal cord itself receives dual innervation from both nerves"_en.wikipedia Nerve supply of larynx has been explained in details in previous sessions.